Which of the following pathways does not occur in mitochondria
1. Beta oxidation
2. Urea cycle
3. Fatty acid synthesis
4. Heme synthesis

Correct answer: 3. Fatty acid synthesis

Explanation: Fatty acid synthesis takes place in cytoplasm.
Beta Oxidation occurs in mitochondria.
Heme synthesis and Urea cycle occur both in cytoplasm and mitochondria.